True statement about testicular feminising syndrome are all except
1. Absent uterus
2. Absent vagina
3. Absent ovary
4. Chromosome pattern 46 x Y

Correct answer: 2. Absent vagina

Explanation: Blind vagina is present in Testicular Feminizing Syndrome not absent vagina.
Genotype is 46 XY. There is presence of testis and absence of ovary and uterus.